Commonest age group for diptheria is -
1. 1-2 Years
2. 1-5 Years
3. 2-7 Years
4. 2-9 Years

Correct answer: 2. 1-5 Years

Explanation: Diphtheria particularly affects children aged 1 to 5 yrs. In countries where widespread immunization practised, a shift in age incidence has been observed from preschool to school age. Ref:PARK'S TEXTBOOK OF PREVENTIVE AND SOCIAL MEDICINE 23rd edition , Page :160